Which of the following is not a reflecting mucosa
1. Lip
2. Cheek
3. Gingiva
4. Soft palate

Correct answer: 3. Gingiva

Explanation: Based on function, the oral mucosa can be classified into –

Masticatory mucosa

Eg.: Gingiva and hard palate

Lining or reflecting mucosa

Eg.: Lip, cheek, vestibular fornix, alveolar mucosa, floor of mouth and soft palate.

Specialized mucosa 

Eg.: Dorsum of tongue and taste buds.